True regarding secular trends -
1. Changes in disease pattern in terms of months
2. Changes in disease pattern seasonally
3. Changes in disease pattern over a short period of timer
4. Changes in disease pattern over a long period of time

Correct answer: 4. Changes in disease pattern over a long period of time